Iron is most commonly absorbed from :
1. Duodenum and upper jejunum
2. Lower jejunum
3. Stomach
4. Ileum

Correct answer: 1. Duodenum and upper jejunum

Explanation: Maximum iron absorption occurs in the duodenum and proximal jejunum.
Vitamin B12 is absorbed in distal ileum whereas folic acid is absorbed in proximal jejunum.